All are the potential carcinogens for hepatic angiosarcoma except :
1. Thorotrast
2. Arsenic
3. Polyvinyl chloride
4. Naphthylamine

Correct answer: 4. Naphthylamine

Explanation: Hepatic angiosarcoma carcinogen:- T :- Thorotrast A :- Arsenic P :- Poly vinyl chloride Other carcinogen :- Aflatoxin :- HCC Asbestos :- Lung cancer/ Mesothelioma Nitrosamine :- Stomach cancer. Naphthylamine:- urothelial carcinoma of bladder